Imaging reveals a major blockage of his right coronary artery near the crux of the heart just proximal to the origin of the posterior interventricular artery. Which part of the heart would be affected by the ischemia that results from this blockage ?
1. Sinoatrial (SA) node
2. Atrioventricular (AV) node
3. Anterior two thirds of the interventricular septum
4. Right ventricle

Correct answer: 2. Atrioventricular (AV) node

Explanation: The AV nodal artery, which branches from the right coronary artery proximal to the origin of the posterior interventricular artery, usually supplies the AV node. Option A: The SA node is supplied by the SA nodal artery, a branch of the proximal part of the right coronary artery, or by the circumflex branch of the left coronary artery. Option C: The left anterior interventricular artery (LAD) supplies the anterior two thirds of the interventricular septum. Option D: The marginal branch of the right coronary artery supplies most of the right ventricle. Its origin is well proximal to the crux of the heart and would not be affected by this blockage. Note: The crux of the heart is the area on the lower back side of the heart where the coronary sulcus (the groove separating the atria from the ventricles) and the posterior interventricular sulcus (the groove separating the left from the right ventricle) meet.